______________ is not a property of X-rays
1. Ionization
2. Action on photographic film
3. Excitation
4. Collimation

Correct answer: 4. Collimation